All are true about pouchitis except:
1. Probiotics have shown promising response
2. Cause may be related to mucosal ischemia
3. Most commonly seen in ulcerative colitis surgeries
4. Episodes of pouchitis will not respond to antibiotics

Correct answer: 4. Episodes of pouchitis will not respond to antibiotics

Explanation: Ans. (d) Episodes of pouchitis will not respond to antibioticsTreatment protocol for pouchitis:* 1st line: Ciplox + Metronidazole* 2nd line: Probiotics added* 3rd line: Add ASA compounds* 4th line: Pouchectomy and permanent ileostomy